All are criteria for damage control surgery except
1. Hypothermia
2. pH < 7.2
3. Serum lactate <2 mmol/L
4. Blood pressure <70 mmHg

Correct answer: 3. Serum lactate <2 mmol/L

Explanation: Early total care describes the definitive management of a patient's injuries within 36 hours of injury after a period of initial resuscitationDamage control surgery describes simultaneous resuscitation with early rapid life- and limb-saving surgery. Time-consuming definitive surgery is deferred until the patient's physiological status allowsCriteria for damage control surgery (DCS)and early total care (ETC).Criteria for DCS Criteria for ETCHypothermia: <34degC NormothermiaAcidosis: pH <7.2No hypoxaemia, no hypercapniaSerum lactate >5 mmol/LSerum lactate <2 mmol/LCoagulopathy Normal coagulationBlood pressure <70 mmHg Stable haemodynamicsTransfusion approaching15 units No need for vasoactive/inotropic stimulationInjury severity score >36 Urinary output >1 mL/kg/hourBailey and Love 27e pg:319